Avoiding awareness of pain of reality by negative sensory data is in which of the following defence mechanism
1. Distortion
2. Denial
3. Displacement
4. Dissociation

Correct answer: 2. Denial

Explanation: Denial: Involuntary exclusion of unpleasant or painful reality from conscious awareness. Example(s) in Normal life:1. Grief 2. Children (3-6 years) Illustration(s) from Clinical Situations:1. Psychosis 2. Alcohol dependence Ref: A Short Textbook of Psychiatry, Niraj Ahuja, 7th Edition, pg. no.207 Distortion: Grossly reshaping the experience of the external reality to suit inner needs. Displacement: Unconscious defense mechanism by which the emotional component of an unacceptable idea or object is transfeered to a more acceptable one. Disscoiation: Unconscious defence mechanism involving the segregation of any group pf mental or behavioural processes from the rest of the person's psychic activity.